Shape of tracheal cartilage:
1. W shaped
2. O shaped
3. C shaped
4. D shaped

Correct answer: 3. C shaped

Explanation: Trachea is kept patent by the presence of U-shaped bars (rings) of hyaline cartilage embedded in its wall. The posterior free ends of the cartilage are connected by smooth muscle, the trachealis muscle.